Ethmoid bone forms A/E -
1. Superior turbinate
2. Middle turbinate
3. Inferior turbinate
4. Uncinate process

Correct answer: 3. Inferior turbinate

Explanation: "The inferior turbinate is a separate bone, while rest of the turbinates are a part of ethmoidal bone". —Tuli 1st/e p. 135